Investigation of choice for soft tissue sarcoma is -
1. CT
2. MRI
3. Ultrasound
4. X-ray

Correct answer: 2. MRI

Explanation: Ans. is 'b' i.e., MRI "Any patient with a suspected STS should be referred to a diagnostic centre for triple assessment with clinical history, imaging and biopsy. Whilst the preferred method of imaging is MRI, other options including computerized tomography (CT) or ultrasound may be appropriate depending on local expertise. "Investigations in musculoskeletal systemo Investigation of choice for AVN Hip - MRIo Best initial test for osteomyelitis - Plain x-rayo Best second line test for osteomyelitis (if there is high clinical suspician and x-ray is negative) - MRIo Most accurate diagnostic test for osteomyelitis - Bone biopsy and culture.o Best view for scaphoid fracture - Oblique (scaphoid) view of wrist.o Best view for C1-C2 vertebrae & junction - Open mouth odontoid (Pegs) view.o Investigation of choice for ACL & PCL injury - MRIo Investigation of choice to detect calcification - CT scano Investigation of choice for prolapsed intervertebral disc - MRIo Investigation of choice for spinal tuberculosis - MRIo Investigation of choice for traumatic paraplagia - MRIo Investigation of choice in intramedullary space occupying lesion (SOL) - MRIo Investigation of choice for bone metastasis - Bone scano Gold standard and investigation of choice for osteoporosis (Bone density) - Dual energy X-ray absorptiometry (DEXA).